Acid mucin is best demonstrated by the stain -
1. Alcian blue
2. Periodic Acid Schiff (P.A.S.)
3. Van Gieson
4. Reticulin

Correct answer: 1. Alcian blue

Explanation: Mucin is produced by epithelial cells of mucous membrane & mucous glands, as well as by some connective tissues
Stains for mucin

Mucicarmine
Alcian blue.

Note :- Epithelial cell mucin stains positively with periodic acid-Schiff (PAS), while connective tissue mucin does not.